Liver in hemochromatosis is stained by -
1. Perl's iron stain
2. Alcian blue
3. Congo Red
4. Massontrichome

Correct answer: 1. Perl's iron stain

Explanation: Ans. is 'a' i.e., Perl's iron stain [Ref: style="font-size: 1.04761904761905em; font-weight: bold; font-style: italic; font-family: Times New Roman, Times, serif; margin: 0 0 0 8px; text-indent: 0; text-align: left">o Hemosiderin (storage iron granules) may be present in areas of old hemorrhage or be deposited in tissues with iron overload.Perl's stain is the classic method for demonstrating iron in tissues.The section is treated with dilute hydrochloric acid to release ferric ions from binding proteins.These ions then react with potassium ferrocyanide to produce an insoluble blue compound (the prussian blud reaction).o Fontana-Slasson method: most commonly used. It relies upon the melanin granules to reduce ammoniacal silver nitrate.o Masson trichrome stain : It helps to highlight the supporting collagenous stroma in sections from a variety of organs.o Congo red ; It stains amyloid in the tissue.